What is the most frequent tooth to be impacted ?
1. Lower third molar
2. Upper third molar
3. Lower canine
4. Upper premolar

Correct answer: 1. Lower third molar